"Chasing the dragon" phenomena occurs with
1. Opioids
2. LSD
3. Cocaine
4. Amphetamine

Correct answer: 1. Opioids

Explanation: "Chasing the dragon" refers to inhaling the vapour from a heated solution of morphine, heroin. The "chasing" occurs as the user gingerly keeps the liquid moving in order to keep it from overheating and burning up too quickly, on a heat conducting material such as aluminium foil. The moving smoke is chased after with a tube through which the user inhales. Reference: Kaplon and sadock, 11 th edition, synopsis of psychiatry, 11 th edition, pg no. 659